Variation of eruption of secondary dentition can be:
1. 4-5 months.
2. 6-7 months.
3. 12-18 month.
4. Variations in eruption of secondary dentition is less frequent.

Correct answer: 3. 12-18 month.